Dose of Rubella immunoglobulin is:
1. 5 ml
2. 10 ml
3. 20 ml
4. 40 ml

Correct answer: 3. 20 ml

Explanation: IMMUNOGLOBULIN DOSAGES Disease / agent Dose Hepatitis A 0.02 ml / kg BW (3.2 mg / kg BW) Hepatitis B 0.05 - 0.07 ml/kg BW (8-11 mg/kg BW) Hepatitis C 0.05 ml/kg BW (3.2-8 mg/kg BW) Measles 0.25 ml/kg BW Rubella 20 ml Varicella 15-25 units/kg BW Rabies 20 IU/kg BW (HRIg), 40 IC /kg BW (ERIg) Tetanus 250 units (Prophylaxis), 3000 - 6000 units treatment Rh isoimmunization 200-300 mcg per 15 ml Rh+ ve blood exposure